Pulmonary tuberculosis is more common in the following asssoctiated diseases except
1. Aids
2. Diabetes
3. Chronic renal failure
4. Mitral stenosis

Correct answer: 4. Mitral stenosis

Explanation: Refer Pg 367 Pulmonary tuberculosis is defined as an active infection of the lungs (latin pulmo = lung). It is the most important TB infection, because an infection of the lungs is highly contagious due to the mode of droplet transmission.